All are predictors of 5 day treatment failure in cirrhotic patients with variceal bleeding Except?
1. HVPG > 20 mm Hg
2. Child C status
3. Active bleeding at endoscopy
4. Prolonged prothrombin time

Correct answer: 4. Prolonged prothrombin time

Explanation: The variables most consistently found to predict 5-day treatment failure are HVPG > 20 mm Hg Child-Pugh class C Active bleeding at endoscopy Ref:Journal of Hepatology 2010